A child has been brought with the following scalp lesion with history of itching in scalp and hair loss for past 2 months. Which of the following is useful for diagnosis of this patient?
1. Gram stain
2. KOH mount
3. Slit Skin smear
4. Tzanck smear

Correct answer: 2. KOH mount

Explanation: Ans. B KOH mountRef: Fitzpatrick's Dermatology, 8th ed. pg. 2284-85The image shows black dot sign classical of tinea capitis. The hairs are damaged due to endothrix infection and break easily.